The complex process of leukocyte movements through the blood vessels are all EXCEPT-
1. Rolling
2. Adhesion
3. Migration
4. Phagocytosis

Correct answer: 4. Phagocytosis

Explanation: Robbins basic pathology 9th edition page no 36,37 The complex process of leukocytes across the blood vessel includes rolling adhesion and migration. Phagocytosis occurs outside the vessel wall, at the site of cell injury